Which of the following drug is used in SIADH?
1. Tolvapatan
2. Desmopressin
3. Vwb factor
4. Terlipressin

Correct answer: 1. Tolvapatan

Explanation: Ans. A. TolvaptanTolvaptan:Vasopressin antagonists.Orally active nonpeptide selective V2 receptor antagonist.Metabolized by CYP3A4 - Not given to patients receiving this isoenzyme inhibitor.Given once daily.t 1/2 : 6-8 hours.Actions:Increases free water clearance by kidney (aquaretic).Corrects lower plasma Na+ levels.Uses:Useful for hyponatremia treatment.Hyponatremia caused by CHF, cirrhosis of liver or syndrome of inappropriate ADH secretion (SIADH).Side effect:Thirst & dry mouth (most frequent).Fever, G.I. upset & hyperglycaemia.